Postural orthostatic tachycardia syndrome is characterized by all except?
1. Women affected more commonly than men
2. Heart rate > 120/minute
3. Increase in heart rate > 30/minute when standing
4. Usually presents with orthostatic hypotension

Correct answer: 4. Usually presents with orthostatic hypotension

Explanation: Postural orthostatic tachycardia syndrome (POTS)- symptomatic orthostatic intolerance without orthostatic hypotension, associated with either HR of >120/min or increase in HR >30/min when standing that subside on sitting / lying down. The symptoms of orthostatic intolerance include lightheadedness, blurred vision, palpitation and nausea. Usually affects women more than men. This syndrome develops between 15 and 50 years of age.